Trench fever is caused by:
1. Rochalimaea quintana
2. Rickettsia prowazaki
3. Rickettsia akari
4. Rickettsia typhi

Correct answer: 1. Rochalimaea quintana

Explanation: Ans. A i.e. Rochalimaea quintana